The similarity between Vit C & Vit K is
1. Both help in conversion of proline to hydroxyproline
2. Both help in post-translational modification
3. Both have anti infective activity
4. Both are involved in coagulation cascade

Correct answer: 2. Both help in post-translational modification

Explanation: Both vitamin C and vitamin K are required for post-translational modification.
Vitamin C is required for post-translational modification of proline and lysine in collagen synthesis.
Vit K is required for post-translational modification of glutamate residue for generation of clotting factors.